Bolognini's symptom (a feeling of crepitationoccuring from gradual increasing pressure on the abdomen) is seen in -
1. Congenital pyloric stenosis
2. Gastric polyp
3. Duodenal atresia
4. Measles

Correct answer: 4. Measles

Explanation: Ans. is 'd' i.e., Measles